Topical mitomycin C is used to aid the following treatment -
1. Endoscopic treatment of angiofibroma
2. Treatment of laryngotracheal stenosis
3. Skull base osteomyelitis
4. Sturge weber syndrome

Correct answer: 2. Treatment of laryngotracheal stenosis